Renal trauma is best treated by -
1. Observation and supportive measures
2. Early drainage of perirenal haematoma
3. Heminephrectomy
4. Nephrostomy

Correct answer: 1. Observation and supportive measures

Explanation: Ans. is 'a' i.e., Observation and supportive measures